Hydrocele & edema in foot occur in:
1. W. Bancrofti
2. B. Malayl
3. B.Timori
4. Oncocerca volulus

Correct answer: 1. W. Bancrofti

Explanation: Ans : A (W.Bancrofti) Hydrocele (genital involvement) is only feature of Bancroftian filariasis (W.Bancrofti) not of (rarely) Brugian fila riasis( B. malayi& B.Timori)"In chronic Bancroftian filariasis. the main clinical features are hydrocele; elephantiasis & chyluria. The Brugian filariasis isgenerally similar to Bancroftian filariasis, but the genitalia are rarely involved, except in areas where Brugian filariasis occurs together with Bancroftian filariasis"-Park 21st/246"Wuchereria bancroftl can affect the legs, arms, vulva, breasts, and scrotum (causing hydrocele formation), while Brugia timori rarely affects the genitals"-en.wikipedia.org.filariaisis"Genital lesions or chyluria (milky colour urine) do not occur in brugian filariasis. Hydrocele is the most common sign of chronic bancroftian filariasis, followed by lymphoedema, elephantiasis and chyluria-nvbdcp.gov.in"The most common presentations of the lymphatic filariases are asymptomatic (or subclinical) microfilaremia, acute adenolymphangitis (ADL), and chronic lymphatic diseases hydrocele. If lymphatic damage progresses, transient lymphedema can develop into lymphatic obstruction and the permanent changes associated with elephantiasis. Brawny edema follows early pitting edema, and thickening of the subcutaneous tissues and hyperkeratosis occuf- Harrison 18th/1746Table (Jawetz): MicrofilariaeFilariidDiseaseVectorsWuchereria bancrofti Brugia malayiBancroftian and Malayan filariasis: lymphangitis, hydrocele, elephantiasisCuliddae (mosquitoes) Culiddae (mosquitoes)Loa loaLoiasis; Calabar swellings; conjunctival wormsChrysops, deer fly, mango flyOnchocerca volvulusOnchocerciasis: skin nodules, blindness, dermatitis, hanging groinSimulium, buffalo gnat, black flyMansonella (Dipetalonema) PersiansMansonelliasis or dipetalonem iasis (minor disturbances)Culicoides, biting midgeMansonella streptocercaUsually nonpathogenicCulicoides, biting midgeMansonella ozzardiOzzard's mansonelliasis (benign), occasionally hydroceleCulicoides, biting midgeDracunculiasis (Guinea Worm Infection) Harrison 18th/1751Few or no clinical manifestations of dracunculiasis are evident until fust before the blister forms, when there is an onset of fever and generalized allergic symptoms, including periorbital edema, wheezing, and urticaria. The emergence of the worm is associated with local pain and swelling